In CLL basically which cell predominates -
1. T cell
2. B cell
3. Lymphocyte
4. Monocyte

Correct answer: 2. B cell